ANUG is best visualized
1. Crater like lesions
2. Severe gingivitis
3. Recession of gingiva
4. None

Correct answer: 1. Crater like lesions